Motor nerve supply of muscles of upper lip is by
1. Temporal branch of facial nerve
2. Zygomatic branch of facial nerve
3. Buccal branch of facial nerve
4. Marginal mandibular branch of facial nerve

Correct answer: 3. Buccal branch of facial nerve

Explanation: Temporal—frontalis, auricular muscles, orbicularis oculi 
Zygomatic—Orbicularis oculi 
Buccal—muscles of the cheek and upper lip 
Marginal mandibular—muscles of lower lip. 
Cervical—platysma